Which of the following inborn error of metabolism has porphyria like clinical features?
1. Phenylketonuria
2. Tyrosinemia type I
3. Alkaptonuria
4. Metachromatic leukodystrophy

Correct answer: 2. Tyrosinemia type I

Explanation: Succinylacetone accumulates in hereditary tyrosinemia type I (fumarylacetoacetate hydrolase deficiency). Succinylacetone is structurally similar to ALA and inhibits ALA dehydratase leading to porphyria like features.